Laparoscopy is best avoided in patients with :
1. Hypertension
2. Diabetes
3. Obesity
4. COPD

Correct answer: 4. COPD

Explanation: COPD